Regular drinking of which of the following can help prevent Urinary tract infection (UTI)?
1. Grape juice
2. Orange juice
3. Cranberry juice
4. Raspberry juice

Correct answer: 3. Cranberry juice

Explanation: Cranberry juice Proanthocyanidins in Cranberry juice prevent bacterial fimbriae from attaching to wall of urinary bladder and urinary tract . Thus, drinking cranberry juice helps in preventing UTI. - Also remember, E.coli is the most common cause of UTI.